CO acts by inhibiting which component of respiratory chain -
1. Cytochrome b
2. Cytochrome C oxidase
3. NADH CoQ reductase
4. Oxidative phosphorylation

Correct answer: 2. Cytochrome C oxidase

Explanation: Ans. is 'b' i.e., Cytochrome C oxidase Inhibitors of Electron transport chain (Respiratory chain)o Complex IBarbiturates (amobarbital), piercidin A. rotenone, chlorpromazine. guanithidine.o Complex IICarboxin. TTFA, malonate.o Complex IIIDimercaprol, BAL, actinomycin A, Naphthvloquinone.o Complex IV (cytochrome c oxidase) :- Carbon monoxide (CO-), cyanide (CN-), H2S. azide (N3-)